Fever blisters can occur due to?
1. Reactivation of HSV - 1
2. Primary HSV — 1 infection
3. Varicella
4. HHV- 6

Correct answer: 1. Reactivation of HSV - 1